Planning cycle includes –
1. Analysis of situation
2. Evaluation
3. Resource assessment
4. All

Correct answer: 4. All

Explanation: Planning involves a succession of steps                      


Analysis of health situation     
Establishment of objectives and goals  
Assessment of resources   
Fixing priorities 
Programming and implementation
Write-up of formulated plan 
Monitoring 
Evaluation.